Lambda sign or twin peak sign is seen in
1. Diamniotic Monochorionic
2. Dichorionic Diamniotic
3. Monochorionic monoamniotic
4. None of the above

Correct answer: 2. Dichorionic Diamniotic

Explanation: The Lambda or Twin peak sign at 10-14 weeks of gestation demonstrate the high reliability of ultrasound examination in determining chorionicity in twin pregnancies. The "T sign" is really the absence of a twin-peak sign(or lambda (l) sign) and is used in ultrasound assessment of multifetal pregnancy. It refers tothe lack of chorion extending between the layers of the intertwin membrane, denoting a monochorionic diamniotic pregnancy.